Target or Iris lesion is seen in –
1. Urticaria
2. Erythema multiforme
3. Scabies
4. Lichen planus

Correct answer: 2. Erythema multiforme

Explanation: Target (Iris) lesion is characteristic of erythema multiforme.